Turner syndrome is
1. 45 XO
2. 47 XXY
3. Trisomy 13
4. Trisomy 18

Correct answer: 1. 45 XO

Explanation: Ans. (a) 45 XORef: Shaws 15th ed. H10-111; Harrison 19/e 635; William's Gynecology Ch 16